First line drug for primary open angle glaucoma is:
1. Pilocarpine
2. Dorzolamide
3. Dipivefrine
4. Beta blockers

Correct answer: 4. Beta blockers

Explanation: Ans: D i.e. Beta blockers Drugs for primary open angle glaucoma Adjunctive drugs for primary open angle glaucoma are dipivefrine, dorzolamide & pilocarpine First line drugs for primary open angle glaucoma includes beta blockers, brimonidine & prostaglandin analogues